Which one of the following blood fractions is stored at - 40°C?-
1. Cryprecipitate
2. Human albumin
3. Platelet concentrate
4. Packed red cells

Correct answer: 1. Cryprecipitate